Features of 'Loculatedpleural effusion' on X-ray chest include all except
1. Air bronchogram present
2. In oblique view margins are diffuse in end on
3. Not limited to one bronchopulmonary segmen t
4. Superomedial margin of loculated pleural effusion forms obtuse angle with the mediastinum

Correct answer: 1. Air bronchogram present

Explanation: (A) Air bronchogram present # Presence of air bronchogram excludes any pleural or mediastinal pathology.> Air bronchogram is visibility of bronchi with in parenchymal lesion, so it is found in alveolar pathology as Consolidation Infarction Contusion> Loculation should be considered when a density is considered to be fluid and does not correspond to anatomical location of fissures (loculation can occur within fissures).> It is not in the gravity dependant location.> Note in the upright film on right you are able to see the diaphragm medially, indicating that the fluid is not in the dependent portion.> Empyemas loculate> Consider all loculated effusions as empyema unless proven otherwise.